Violent abnormal flinging movements which are irregular and affecting one side are called as -
1. Chorea
2. Athetosis
3. Dystonia
4. Hemiballismus

Correct answer: 4. Hemiballismus

Explanation: Ans. is 'd' i.e., Hemiballismus Movement disorder* It is defined as the dysfunction in the implementation of appropriate targeting and velocity of intended movements, dysfunction of posture and abnormal involuntary movement, or the performance of normal appearing movements at inappropriate or unintended times.* The different movement disorders are explained in the table below :Movement disorderBrief descriptionChoreaSlow, large amplitude involuntary movements of proximal more than distal musclesAthetosisSlower writhing irregular movements predominantly distalTardive dyskinesiaMovements of mouth and face, usually drug inducedDystoniaCo-contraction of agonist and antagonist, which cause twisting and repetitive movements or abnormal posturesHermiballismusViolent finging movements, which are irregular affecting one sideMyoclonusAn extermely brief contraction of a muscle group leading to involuntary proposeless jerk of affected limbAtaxiaInability to control movements and typically is caused by cerebellar dysfunctionTicsRapid, involuntary, briefly suppressible, repetitive, non-rhythmic and sterotyped movementsSimple motor tics are typically sudden, brief and meaningles movements that usually involve only one group of muscles, such as eye blinking, head jerking or shoulder shruggingComplex motor tics are typically more purposful-appearing and of a longer nature. They may involve a cluster of movements and appear coordinatedTremorRhythmic oscillation about a certain point or postion involving one or more body partStereotypiesRepetitive, patterned involuntary movements that have no apparent function.